Sustained severe hypertension in children is most commonly suggestive of -
1. Coarctation of aorta
2. Pheochromocytoma
3. Renal parenchymatous disease
4. Drug induced

Correct answer: 3. Renal parenchymatous disease

Explanation: Ans. is 'c' i.e., Renal Parenchymatous disease Hypertension in children o Hypertension is defined as the arterial blood pressure above 951" percentile with reference to age and sex. o Between the 90" and 95th percentile it is called borderline high blood pressure. Causes of hypertension in children o Essential hypertension is relatively uncommon (10%) in children in contrast to aged persons. o The four most common causes of hypertension in children are : - i) Chronic glomerulonephritis (most common) --> 25 % Chronic pyelonephritis --> 10 % iii) Renal artery stenosis --> 10 % iv) Essential hypertension --> 10% Remember o MC cause of hypertension in children --> chronic glomerulonephritis. o MC cause renovascular hypertension in children renal artery stenosis.